Progesterone of choice in emergency contraception is
1. Norethisterone
2. Medroxy progesterone
3. Desogestrel
4. Levonorgestrel

Correct answer: 4. Levonorgestrel

Explanation: Levonorgestrel Levonorgestrel alone, 0.75 mg stat F/B another 0.75 mg 12 hrs later, taken within 72 hrs of unprotected intercourse is the method of choice .for emergency contraception Emergency contraception is also k/a postcoital morning after contraception. Basically the methods used interfere with the physiological events before implantation, for e.g. inhibition or delaying of ovulation or interference with postovulatory events necessary for implantation & longevity of the blastocyst. Agents used for emergency contraception are known as 'interceptives'. Methods of emergency contraception Drugs Dosage Time frame Preg. rate * High dose estrogens (not used now) - Ethinyl estradiol (EE) 2.5 mg BD x 5 days Within 72 hrs of coitus L-0.15% - Conjugated equine estrogen (CEE) 15 mg BD x 5 days 0-0.6% * Estrogen & progestin combination pill ,, - Yuzpe method EE 50 rg + d, l-NG 0.5 mg (Ovral) 2 tabs stat & 2 tabs after 12 hrs ,, ,, 0-2% (Total dose EE 0.2 mg & LNG 2 mg) - Low dose pills ,, II 0-2% EE 30 lig + LNG 0.15mg (Ovral L, Mala-N etc.) 4 tabs stat & 4 tabs after 12 hors * Levonorgestrel (LNG) alone (Ecee 2, i- 0.75 mg stat F/B Preferably 0-1% pill, E-pill, unwanted-72, Plan-B) 0.75 mg after 12 hrs or 1.5 mg stat within 72 hrs but can be given upto 5 days * Centchroman 30mg 2 tab BD x 1 day Within 5 days not known (Saheli) * Danazol 400/800 mg BD x Within 72 hrs 0.8 - 1.7% 3 days or 1200 mg BD x 2 days * Mifepristone (RU 486) 600 mg/200 mg / Within 5 days to - 1.3% 10 mg single dose 27th day of cycle * Copper IUD (more effective than steroids) To be inserted within 7 days < 1%